Digoxin use in CHF associated with:
1. HOCM (Hypertrophic obstructive cardiomyopathy)
2. High output failure
3. Atrial fibrillation with high ventricular rate
4. All of the above

Correct answer: 3. Atrial fibrillation with high ventricular rate

Explanation: Digitalis is used for controlling the ventricular rate in atrial fibrillation. Digitalis reduces ventricular in atrial fibrillation by decreasing the number of impulses that are able to pass down the AV node and bundle of his. It increases ERP of AV node by direct, vagomimetic and antiadrenergic actions. Essentials of medical pharmacology, seventh edition, KD Tripathi, page no:519